A patient with external hemorrhoids develops pain while passing stools. The nerve mediating this pain is -
1. Hypogastric nerve
2. Pudendal nerve
3. Splachnic visceral nerve
4. Sympathetic plexus

Correct answer: 2. Pudendal nerve

Explanation: External piles (hemorrhoids) lie below the pectinate line and are therefore painful.
Pain sensation below the pectinate line is carried by inferior rectal nerve, a branch of the pudendal nerve.